Deficient mineralisation in epiphysical growth cartilage is seen in -
1. Rickets
2. Osteomalacia
3. Scurvy
4. Hyperparathyroidism

Correct answer: 1. Rickets

Explanation: Ans. is 'a' i.e., Rickets